What is the thickness of class II matrix band?
1. 0.002 inches
2. 0.002 mm
3. 0.02 inches
4. 0.02 mm

Correct answer: 1. 0.002 inches

Explanation: There are two types of bands:

Uncontoured bands
Precontoured bands

Uncontoured bands
These are available in two thicknesses:

0.002 inch (0.05 mm)
0.0015 inch (0.038 mm)

Sturdevants operative dentistry south asian edition page 204